Which of the following is not a sarcolemal protein
1. Sarcoglycan
2. Dystrophin
3. Dystroglycan
4. Perlecan

Correct answer: 4. Perlecan

Explanation: Caplin, dystrophin, dysfelin, dystroglycan, sacroglycan, caveoli & integrins are sacrolemmal proteins. Where as perlecan is a large multidomain proteoglycan, which is synthesised by both vascular endothelium and smooth muscle cells and deposited in extra cellular matrix.